Cause of organic amnestic syndrome include(s): a. Multiple sclerosis b. Hypoglycemia c. Hyperglycemia d. Hypoxia e. Hypercapnia
1. all of the above
2. a,b,e
3. a,b,d
4. b,c,d

Correct answer: 3. a,b,d

Explanation: Amnestic syndrome is characterized by inability to form new memories (anterograde amnesia) and the inability to recall previously remembered knowledge (retrograde amnesia). The major causes of amnestic disorders are: Thiamine deficiency (Korsakoff syndrome) Hypoglycemia Primary brain conditions(head trauma,seizures,cerebral tumors, cerebrovascular disease, hypoxia, electroconvulsive therapy, multiple sclerosis) Substance related disorders (alcohol, benzodiazepines).